ORS required during first 4 hours in a 20 kg child -
1. 200-400 ml
2. 400-600 ml
3. 600-800 ml
4. 1200-2200 ml

Correct answer: 4. 1200-2200 ml